All except in brown sequard syndrome -
1. Ipsilateral pyramidal tract features
2. C/L dorsal column
3. C/L spinothalmic
4. Ipsilateral planter extensor

Correct answer: 2. C/L dorsal column